Bile acid has a detergent action due to
1. Formation of soap
2. Formation of zwitter ion
3. Amphipathic in nature
4. Formation of medium chain triglycerides

Correct answer: 3. Amphipathic in nature

Explanation: Bile contains bile acids, which are critical for digestion and absorption of fats and fat-soluble vitamins in the small intestine. Many waste products, including bilirubin, are eliminated from the body by secretion into bile and elimination in feces. Ref: guyton and hall textbook of medical physiology 12 edition page number:437,438,439